All of the following from the floor of the third ventricle, Except-
1. Infundibulum
2. Oculomotor nerve
3. Mammillary body
4. Optic chiasma

Correct answer: 2. Oculomotor nerve